Chances of blindness in diabetic patient as compared to non-diabetic patient is ?
1. 5 times
2. 10 times
3. 15 times
4. 25 times

Correct answer: 4. 25 times

Explanation: Answer- D. 25 timesThe gravity of this problem is highlighted by the finding that individual with DM are 25 times more likely to become legally blind than individuals without DM.